Which of the following dental sequel is likely in child with a history of generalized growth failure (failure to thrive) in the first 6 months of life
1. Retrusive maxilla
2. Enamel hypoplasia
3. Retrusive Mandible
4. Dentinogenesis imperfecta

Correct answer: 2. Enamel hypoplasia